Drug of choice for myasthenia gravis:
1. Gallamine
2. Succinylcholine
3. Tubocurare
4. Pyridostigmine

Correct answer: 4. Pyridostigmine

Explanation: Answer is D (Pyridostigmine): Pyridostigmine is the most widely used anticholinesterase medication in Myaesthenia Gravis. Pyridostigmine's the single best answer of choice amongst the options provided.